Treatment for CA Anal canal is
1. Surgery
2. Surgery + Radiotherapy
3. Chemoradiation
4. Chemotherapy

Correct answer: 3. Chemoradiation

Explanation: Ca. Anal canal is treated by nigro’s regimen which is combine chemo + radiotherapy.